The drug which is used in long term maintenance in opioids addiction:
1. Naloxone
2. Nalorphine
3. Butarphanol
4. Methadone

Correct answer: 4. Methadone

Explanation: Ans. D i.e. Methadone Drugs in psychiatry Naltrexone: - Used in opioid dependency: For rapid detoxification Maintenance therapy - To prevent relapse Tolpromate: - Used to reduce craving and - Prevent relapse in heavy alcohol drinking (alcohol dependence) Lithium: - Therapeutic serum level is 0.6-1.2 mmol/L, - Liver is NOT affected in lithium toxicity, ECG changes of lithium toxicity are: Sinus tachycardia/ bradycardia, Flattened/inverted T waves, AV block and A prolonged QT interval, - Lithium is C/ I in pregnancy (causes CVS defects) Drugs used in Maniac Depressive Psychosis/MDP: - Lithium, - Valproate, - Carbamazepine, - Levothyroxine Agent of choice for prophylaxis in mania: Lithium (mood stabilizer) Drug causing depression: - OCP, - Bromocriptine etc. TCA: - Amitryptiline, - Clomipramine etc. Tetracyclic antidepressant: - Maprotiline, - Mianserin etc. SSRI: - Fluoxetine, - Fluoxamine etc.